Amacrine cells secrete ______
1. Acetylcholine
2. Serotonin
3. Histamine
4. Glutamate

Correct answer: 1. Acetylcholine

Explanation: Amacrine cells release acetylcholine. Amacrine cells are one of the neuronal cell types of the retina. They transmit signals in two directions, either directly from bipolar cells to ganglion cells or horizontally within the inner plexiform layer from axons of the bipolar cells to dendrites of the ganglion cells or to other amacrine cells. Amacrine cells release GABA, glycine, dopamine, acetlycholine & indolamine. Other neuronal cell types of the retina are: The photoreceptors: rods and cones Horizontal cells Bipolar cells Ganglion cells Of these cell types, only neurotransmitters secreted by photoreceptors & amacrine cells have been discovered. Rods and cones release glutamate at their synapses with bipolar cells. Ref: Guyton and Hall 13th edition Pgno: 655,656